Neuraminidase inhibitor -
1. Oseltamivir
2. Amantadine
3. Enfuvirtide
4. Formivirsen

Correct answer: 1. Oseltamivir

Explanation: Ans. is 'a' i.e., Oseltamivir o Oseltamivir acts by inhibiting influenza virus neuraminidase enzyme which is needed for release of progeny virions from the infected cell.